Heparin is the commonly used anticoagulant in cardiac surgery. All of the following are true about heparin EXCEPT:
1. Weakest acid found in living beings
2. Most commercial preparations of heparin are derived from pig intestine
3. Acts via antithrombin activation
4. Produce thrombocytopenia

Correct answer: 1. Weakest acid found in living beings

Explanation: Heparin is the strongest organic acid found in human beings.
It acts by activating AT-III that inhibits factor Xa and IIa.
Adverse effects of heparin are: Bleeding, Osteoporosis, Thrombocytopenia, Hypersensitivity, Alopecia.
Most commercial preparations of heparin are derived from ox lung and pig intestine.